"Eaton" agent is:
1. Mycoplasma
2. Pseudomonas
3. Gonococcus
4. Listeria

Correct answer: 1. Mycoplasma

Explanation: Mycoplasma